Use of Thiopentone
1. Seizure
2. Truth spell
3. Reduction of ICP
4. All

Correct answer: 4. All

Explanation: D i.e. All